Maximum diameter of pelvic inlet is :
1. Transverse diameter
2. Diagonal conjugate
3. Obstetric conjugate
4. True conjugate

Correct answer: 1. Transverse diameter

Explanation: Transverse diameter